Nail's involvement is NOT a feature of:
1. Psoriasis
2. DLE
3. Dermatomyositis
4. Lichen planus

Correct answer: 2. DLE

Explanation: Ans. B i.e. DLE Discoid lupus is a benign variant of SLE in which only the skin is involved.